Intraocular lens is implanted in a young adult after cataract surgery which was uneventful. When will you remove the IOL?
1. Remove after 10 years
2. Remove after presbyopia
3. After secondary cataract develops
4. Never removed

Correct answer: 4. Never removed

Explanation: There is no such indication to remove IOL after 10 years unless any complication like dislocation of IOL occurs. At the time of cataract surgery , the majority of patients are presbyopic. Presbyopia by itself is not an indication to remove IOL. After development of secondary cataract- just treat it by laser / surgical membranectomy( we don't remove IOL for this).